Dietary triglycerides are transported by -
1. Chylomicrons
2. VLDL
3. LDL
4. HDL

Correct answer: 1. Chylomicrons

Explanation: Chylomicrons

Dietary (exogenous) triglycerides are transported from the intestine to various tissues by chylomicrons. In these tissues, LPL (in blood vessels) hydrolyzes TGs into fatty acids and glycerol. Fatty acids are taken up by tissues for their use. The chylomicron is converted to chylomicron remnants, which carry the remaining dietary lipids (cholesterol, remaining TGs) to the liver.
So, the starting point of chylomicrons is intestine from where they take dietary lipids. The final destination is the liver. Between, the starting point (intestine) and final destination (liver) chylomicrons supply TGs to various tissues (which contain lipoprotein lipase in their blood vessels).